Functional matrix theory is hypothesized by
1. Scott
2. Sicher
3. Petrovic
4. Moss

Correct answer: 4. Moss